All are true about pathogenesis of Ovarian Hyperstimulation Syndrome, EXCEPT?
1. Due to ovarian enlargement and fragility
2. Increase in intravascular volume
3. Role of VEGF and inflammatory cytokines
4. Secondary to infertility treatment

Correct answer: 2. Increase in intravascular volume

Explanation: Symptoms of OHSS are the result of ovarian enlargement and fragility, extravascular fluid accumulation, and intravascular volume depletion (and not increase as stated in option b). Fluid shifts that accompany OHSS are due to increased protein-rich fluid secretion from the stimulated ovaries, increased renin and prorenin within follicular fluid, increased capillary permeability and VEGF